Which of the following is not a sign of pulmonary hydatidosis
1. Waterlily sign
2. Rising sun sign
3. Meniscus sign
4. Drooping lilly sign

Correct answer: 4. Drooping lilly sign

Explanation: Drooping lilly sign is seen in neuroblastoma and duplication of ureter Duplication of ureter: Drooping lilly sign on IVP(Nonvisualized upper pole of a duplex system displaces the lower pole down, looking like a drooped down lilly flower on IVP Chracteristic signs of pulmonary hydatidosis Meniscus sign Double arc sign Moon sign Waterlily sign Crescent sign Ref: Wolfgang 2nd edition Pg no : 309